Whirlpool sign is feature of
1. Sigmoid volvulus
2. Midgut volvulus
3. Intussusception
4. Diverticulosis

Correct answer: 2. Midgut volvulus

Explanation: 'Midgut volvulus' is a complication of mal-rotated bowel. It may result in proximal bowel obstruction with resultant ischemia if prompt treatment is not instigated. Radiological Findings on CT include: Whirlpool sign of twisted mesentery Malrotated bowel configuration Inverted SMA/SMV relationship Bowel obstruction Free fluid/free gas in advanced cases